Sensory receptors for pain are
1. Pacinian corpuscles
2. End organs of Ruffini
3. End bulbs of Krause
4. Free nerve endings

Correct answer: 4. Free nerve endings